Assessment in suspected prostate cancer should include ALL EXCEPT ?
1. Transrectal ultrasound-guided biopsy (TRUS)
2. Cross-sectional MRI imaging
3. Bone scan
4. IVU

Correct answer: 4. IVU

Explanation: Transrectal ultrasound-guided biopsy is used to confirm the diagnosis by taking 10 systematic biopsy cores. Cross-sectional MRI is the most accurate method of local staging. Bone scan is particularly useful when the PSA is >10 nmol /mL or the biopsy shows high-grade cancer. Osteosclerotic lesion seen. IVU is not necessary.